Heart rate is decreased by
1. Propanolol
2. Isoprenaline
3. Dopamine
4. Dobutamine

Correct answer: 1. Propanolol

Explanation: ref; KD Tripathi Pharmacology 6th edition (page no;136) Propranolol is a beta blocker which decreases heart rate, force of contraction (at relatively higher doses) and cardiac output (c.o.). beta blocker inhibits adrenergic responses mediated through the beta receptors. Isoprenaline,Dobutamine,Dopamine are adrenergic drugs , which are cardiac stimulators so increases heart rate